Which of the following tests is most sensitive for detecting early diabetic nephropathy -
1. Serum Creatinine
2. Creatinine clearance
3. Microalbuminuria
4. Ultra sonography

Correct answer: 3. Microalbuminuria